All of the following structures cross the Right Ureter Anteriorly, Except -
1. Terminal ileum
2. Vas deferens
3. Genitofemoral nerve
4. Right Colic and ileo colic vessels

Correct answer: 3. Genitofemoral nerve

Explanation: The genitofemoral nerve is a posterior relation to the ureter.
Other three options are anterior relations.